Digitalis toxicity enhanced by A/E -
1. Renal failure
2. Hyperkalemia
3. Hypercalcemia
4. Hypomagnesemia

Correct answer: 2. Hyperkalemia

Explanation: Hyperkalemia Hypokalemia enhances digitalis toxicity It is the most common precipitating cause of digitalis intoxication. This often occurs in patients with heart failure as a result of diuretic therapy and secondary hyperaldosteronism. Remember this, Digitalis toxicity causes hyperkelemia but hypokalemia enhances digitalis toxicity. Other factors precipitating digitalis toxicity: ? Advanced age Acute myocardial infarction or ischemiaQ HypoxemiaQ HypomagnesemiaQ HypercalcemiaQ Renal insufficiency Hypothyroidism and hyperthyroidism Electrical cardioversionQ Also know The administration of following drug raises the serum concentration of Digoxin by reducing both the renal and nonrenal elimination of digoxin and by reducing its volume of distribution thus precipitating digitalis toxicity. - QuinidineQ - VerapamilQ - AmiodaroneQ - PropafenoneQ